Stability of alveoli is maintained by
1. Compliance of the lungs
2. Residual air in alveoli
3. Negative intrapleural pressure
4. Reduce surface tension by surfactant

Correct answer: 4. Reduce surface tension by surfactant

Explanation: SURFACTANT The low surface tension when the alveoli are small is due to the presence in the fluid lining the alveoli of surfactant, a lipid surface-tension-lowering agent. Surfactant is a mixture of dipalmitoylphosphatidylcholine (DPPC), other lipids, and proteins (Table 35-2). If the surface tension is not kept low when the alveoli become smaller during expiration, they collapse in accordance with the law of Laplace. In spherical structures like the alveoli, the distending pressure equals two times the tension divided by the radius (P = 2T/r); if T is not reduced as r is reduced, the tension overcomes the distending pressure. Surfactant also helps to prevent pulmonary edema. It has been calculated that if it were not present, the unopposed surface tension in the alveoli would produce a 20 mm Hg force favoring transudation of fluid from the blood into the alveoliRef: Ganong Review of Medical Physiology 23rd edition Page no: 597